Which of the following statements about antiepileptics is false?
1. Phenytoin and carbamazepine act by prolonging the inactivated state of Na+channels
2. Carbamazepine can be used in trigeminal neuralgias
3. Diazepam is an anticonvulsant drug
4. Lamotrigine mainly acts by causing GABA mediated Cl- channel opening

Correct answer: 4. Lamotrigine mainly acts by causing GABA mediated Cl- channel opening